Regarding Recurrent dislocation of the shoulder, which of the following is false?
1. All traumatic dislocations will be recurrent
2. Recurrent dislocation results when the capsule is stripped, not torn
3. The humeral head is always within the capsule
4. All of these

Correct answer: 1. All traumatic dislocations will be recurrent

Explanation: A i.e. All traumatic dislocations will be recurrent